Clue cell is seen in:
1. Trichomonas vaginalis
2. Bacterial Vaginosis
3. Candidiasis
4. Herpes

Correct answer: 2. Bacterial Vaginosis

Explanation: Ref: Shaw's Textbook of Gynaecology 15th Edition Pg: 131.Explanation:Clue cells are characteristic of bacterial vaginosis.Bacterial VaginosisIt is associated with considerable decrease in the normal vaginal flora (lactobaciUus) with increase in anaerobic bacteria in the vagina.Common organisms:Haemophilus vaginalisGardnerellaMobil incusMycoplasma hominisOther characteristics of the vaginal discharge in bacterial vaginosis:White milky non viscous discharge adherent to the vaginal wallpH >4.5Fishy odour when mixed with 10% KOH (Whiff Test)Gram staining and culture confirms the diagnosis.Treatment:Metronidazole 500 mg twice daily for 7 days. Complications:PIDChorioamnionitisPROMPreterm labor